Iceberg phenomenon is not seen in
1. AIDS
2. TB
3. Measles
4. Poliomyelitis

Correct answer: 3. Measles